The following statements are related to occipitopos- terior except:
1. Malrotation of occiput may cause occipitosacral arrest
2. 10% cases are associated with anthropoid or android pelvis
3. Incomplete forward rotation of occiput may cause deep transverse arrest
4. Nonrotation of occiput may cause are associated

Correct answer: 2. 10% cases are associated with anthropoid or android pelvis

Explanation: All the options given in the question are correct except – option b
“In more than 50%, the occipitoposterior position is associated with either on anthropoid or android pelvis”
Dutta Obs 7/e, p 365